Clinical audit is done ?
1. To improve patients care
2. For doctor's benefic
3. For hospital staff management
4. For decreasing cost of treatment

Correct answer: 1. To improve patients care

Explanation: Ans. is 'a' i.e., To improve patients care